The reference protein is
1. Cow's milk
2. Hen's Egg
3. Meat
4. Fish

Correct answer: 2. Hen's Egg